A female developed consumptive coagulopathy after an obstetric event. Consumptive coagulopathy is MOST commonly found in:
1. Abruptio placentae
2. IUCD
3. Dead fetus
4. Retained products of conception

Correct answer: 1. Abruptio placentae

Explanation: Placental abruption can lead to initiation of the coagulation cascade by release of tissue thromboplastin into the maternal circulation. Consumption of coagulation factors and platelets is followed by coagulopathic hemorrhage. A cycle ensues as further bleeding worsens the depletion of coagulation factors. Maternal complications of abruptio placentae: Hemorrhagic shock Disseminated intravascular coagulation Uterine rupture Multiple organ failure Neonatal complications of abruptio placentae: Neurodevelopmental abnormalities Death Ref: Echevarria M.A., Kuhn G.J. (2011). Chapter 104. Emergencies after 20 Weeks of Pregnancy and the Postpartum Period. In J.E. Tintinalli, J.S. Stapczynski, D.M. Cline, O.J. Ma, R.K. Cydulka, G.D. Meckler (Eds),Tintinalli's Emergency Medicine: A Comprehensive Study Guide, 7e.